Cerebellar cortex contains -
1. Pyramidal cells
2. Purkinje cells
3. Stromal cells
4. Kupffer cells

Correct answer: 2. Purkinje cells

Explanation: Ans. (b) Purkinje cellsRef.: Gray's 41sted./335-336* The cerebellar cortex contains five types of neurons: Purkinje, Granule, Basket, Stellate and Glogi Cells.